Minimum vision loss is seen in which cataract?
1. Blue dot
2. Zonular
3. Anterior polar
4. Posterior polar

Correct answer: 1. Blue dot

Explanation: Blue dot cataract: It is also called cataracta punctata-caerulea. It usually forms in the first two decades of life. The characteristic punctate opacities are in the form of rounded bluish dots situated in the peripheral part of an adolescent nucleus and deeper layer of the cortex. Opacities are usually stationary and do not affect vision. However, large punctate opacities associated with coronary cataract may marginally reduce the vision.Ref. Khurana; 4th edition; Pg. 173